Following is tumor marker for lung?
1. S-100
2. CEA
3. CD-99
4. Beta 2 microgobulin

Correct answer: 2. CEA

Explanation: Ans is 'b' i.e. CEAImportant tumor markersTumor MarkersCancerHormones * Human chorionic gonadotropin* Gestational trophoblastic disease, gonadal germ cell tumor* Calcitonin* Medullary cancer of the thyroid* Catecholamines* Pheochromocytoma* Gastrin* Gastrinoma (pancreatic neuroendocrine tumor)Oncofetal Antigens * Alphafetoprotein* Hepatocellular carcinoma, gonadal germ cell tumor* Carcinoembryonic antigen* Adenocarcinomas of the colon, pancreas, lung, breast, ovaryEnzvmes * Prostatic acid phosphatase* Prostate cancer* Neuron-specific enolase & chromogranin A* Small cell cancer of the lung, neuroblastoma* Lactate dehydrogenase* Lymphoma, Ewings sarcomaTumor Associated Proteins * Prostatic-specific antigen* Prostate cancer* Monoclonal immunoglobulin* Myeloma* CA - 125* Ovarian cancer* CA 19-9* Colon, pancreatic, breast cancer* CA - 15-3* Breast cancer* CA 72-4* Ovarian, pancreatic & gastric Ca.* CA 27.29 &CA 15-3* Breast cancer* CD 30* Hodgkins disease, anaplastic large cell lymphoma* CD 25* Hairy cell leukemia, adult T cell leukemia / lymphoma* CD-34* Alveolar soft part sarcoma* b2- Microglobulin* Multiple myeloma* S-100, HMB-45, TA-90* Malignant melanoma* NMP-22* Urinary bladder Ca* CD-99* Ewing's sarcoma